Difference between Dispensary and PlIC is that a PHC-
1. Gives integrated services
2. Is confined to particular area
3. Is managed by medical officer
4. Is located in rural areas

Correct answer: 1. Gives integrated services

Explanation: Ans. is 'a' i.e., Gives integrated services o Primary health centres provide, as close to the people as possible, an integrated, curative and preventive health care to the rural population, with emphasis on preventive and promotive aspects of health care. The functions of a PlIC are integrated in such a way so as to provde a variety of "Essential" elements of primary health care which are not provided by a dispensary.